Punishment for dowry death is imprisonment for
1. 2years
2. 5 years
3. 7 years
4. 10 years

Correct answer: 3. 7 years

Explanation: Whoever commits dowry death shall be punished with imprisonment for a term that shall not be less than 7 years but that may extend to imprisonment for life Ref: TEXTBOOK OF FORENSIC MEDICINE AND TOXICOLOGY KRISHNAN VIJ FIFTH EDITION PAGE 169